The constituents of Inferior cerebellar peduncle includes all except
1. Anterior spino cerebellar
2. Cuneo cerebellar
3. Olivocerebellar
4. Parolivocerebellar

Correct answer: 1. Anterior spino cerebellar

Explanation: The inferior cerebellar peduncle consists of the following -posterior spinocerebellar fibres, olivocerebellar, parolivocerebellar fibres, cuneocerebellar (posterior external arcuate fibres), anterior external arcuate fibres, vestibulocerebellar, and reticulocerbellar fibres.Reference: Textbook of clinical neuroanatomy, Vishram Singh, Second edition, page no.117